In a patient with multiple injuries, first thing is to be done is
1. Patency of airway
2. Maintenance of B.P.
3. Immobilize cervical spine
4. Lateral position with mouth gas

Correct answer: 1. Patency of airway